Vaginal cytology for hormonal change in best taken from :
1. Posterior wall
2. Anterior wall
3. Lateral wall
4. Any wall

Correct answer: 3. Lateral wall

Explanation: Cytohormonal evaluation The ovarian hormones estrogen and progesterone influence the vaginal mucosa The epithelial cells shed in vaginal mucosa reflect the influence of prevailing dominant hormone at that time Smears are best taken from lateral walls Estrogen dominated smears: Clean, discrete cornified polygonal squamous cells Progesterone dominated: Dirty, predominant intermediate cells Pregnancy: Intermediate and Navicular cells Menopause: Parabasal and Basal cells Reference: Shaw's Textbook of Gynecology; 16th edition; Page no: 84